All of the following are diagnostic criteria of allergic fungal sinusitis {AFS} Except ?
1. Areas of high attuenuation on CT scan
2. Orbital invasion
3. Allergic eosinophilic mucin
4. Type 1 Hypersensitivity

Correct answer: 2. Orbital invasion

Explanation: CT scan shows mucosal thickening with hyperdense areas in fungal sinusitis. Allergic fungal sinusitis is due to the type 1 hypersensitivity reaction to fungal hyphae. It presents with sinonasal polyposis and mucin. (Ref: Textbook of ENT, Diseases of ENT, Dhingra, 7th edition, pg no. 220)